Which of the following compounds is an analogue of hypoxanthine ?
1. Arabinoside C
2. Allopurinol
3. Ribose phosphate
4. 5-phosphoribosylpyrophosphate (PRPP)

Correct answer: 2. Allopurinol

Explanation: Allopurine is hypoxanthine analogue.
Arabinoside-C (ara-c or cytarabine or cytosine arabinoside) is a deoxycytidine analogue.